All are steroid resistant except -
1. Post-streptococcal glomerulonephritis
2. Minimal change glomerulonephritis
3. RPGN
4. Recurrent hematuria

Correct answer: 2. Minimal change glomerulonephritis

Explanation: Prednisolone is the first line of therapy in patients with minimal change disease. Ace inhibitors are mostly used in IgA nephropathy . Treatment is supportive in patients with post streptococcal Glomerulonephritis, antibiotics are given to all patients. Ref:Harrison 20th edition pg no 2140,2142